Most common cause of Death in high income nations includes
1. Unipolar depression
2. Ischemic Heart Disease
3. Alcohol
4. Cerebro Vascular Accident

Correct answer: 2. Ischemic Heart Disease

Explanation: (B) Ischemic Heart Disease # ISCHEMIC HEART DISEASE is the cause of 25 to 30% of deaths in most industrilised countries.> WHO has drawn attention to the fact that Coronary Heart Disease (CHD) is our modern epidemic, i.e., a disease that effects populations, not an unavoidable attribute of aging.> CHD may manifest itself in many presentations -1. Angina pectoris of effort, 2. Myocardial infarction, 3. Irregularities of the Heart, 4. Cardiac failure and 5. Sudden Death.> CHD is assuming serious dimension in developing countries.> CHD is expected to be the single most important cause of death in India by the year 2015.